Which of the following is found in secondary granules of neutrophils?
1. Catalase
2. Gangliosidase
3. Proteolytic enzyme
4. Lactoferrin

Correct answer: 4. Lactoferrin

Explanation: Neutrophils have two main types of granules
The smaller speciﬁc (secondary) granules contain lysozyme, collagenase, gelatinase, lactoferrin, plasminogen activator, histaminase, and alkaline phosphatase.
The larger azurophil (primary) granules contain myeloperoxidase, bactericidal factors (such as defensins), acid hydrolases, and a variety of neutral proteases (elastase, cathepsin G, nonspeciﬁc collagenases, proteinase).
Reference-Robbins BASIC PATHOLOGY 10th edition pg-68